Parotid fascia continues anteriorly as:
1. Fascia lata
2. Deep cervical fascia
3. Masseteric fascia
4. Stylomandibular ligament

Correct answer: 3. Masseteric fascia

Explanation: Between the angle of mandible and the tip of mastoid process the investing layer splits to enclose the parotid gland. The superficial part forms the parotidomassetric fascia while the deep part extends to the base of skull to form the 'stylomandibular ligament'.